Increased ratio of insulin/glucagon causes -
1. decreased amino acid synthesis
2. decreased level of lipoprotein
3. decreased ratio of cy-amp/5 amp
4. all

Correct answer: 3. decreased ratio of cy-amp/5 amp

Explanation: Ans. is 'c' i.e. decrease ratio of CAMP/5 AMP The actions of Glucagon and insulin oppose each otherWhereas insulin promotes energy storage by stimulating glycogenesis, lipogenesis and protein synthesis.glucagon causes rapid mobilization of potential energy sources into glucose by stimulating glycogenolysis and into fatty acids by stimulating lipolysis.Glucagon also promotes ketogenesis and gluconeogenesis ( Glucagon is the most potent gluconeogenic hormone)Mechanism of action of Glucagon -Glucagon binds to specific receptors and this activates adenylyl cyclase.Adenylyl cyclase converts ATP into cAMP.Increased level of cAMP activates protein kinase A.Protein kinase A catalyzes the phosphorylation of proteins.the cAMP is metabolized by phosphodiesterase into 5'-AMP.Mechanism of action of Insulin -One of the mechanisms of action of insulin is - it decreases intracellular cAMP level by activating a cAMP phosphodiesterase (phosphodiesterase converts cAMP into 5'-AMP) thereby decreasing the activity of protein kinase A.Thus Glucagon - increase cAMP level.Insulin - decreases cAMP level.(increases 5' AMP)